Brain fingerprinting:
1. Used lie- detector
2. Used by EEG on lead
3. Used for quantitative measurement of sulci, gyri
4. Used by DNA

Correct answer: 2. Used by EEG on lead

Explanation: B i.e. Used by EEG on lead